Faget sign is
1. Tachycardia with hypeension
2. Bradycardia with hypehermia
3. Tachycardia with hypehermia
4. Bradycardia with hypothermia

Correct answer: 2. Bradycardia with hypehermia

Explanation: Answer- B. Bradycardia with hypehermiaThe Faget sign (sphygmotheric dissociation) is the unsual pairing of fever and bradycardia.Often seen in -Yellow feverTyphoid feverTularaemiaBrucellosisColorado tick fever